Refractive power of eye can be changed by:
1. Radial keratotomy
2. Keratomileusis
3. IOL
4. All

Correct answer: 4. All

Explanation: A i.e. Radial keratotomy; B i.e Keratomileusis; C i.e. IOL